IOC for angiofibroma is
1. Plain X-ray
2. CT scan
3. MRI
4. Angiography

Correct answer: 2. CT scan

Explanation: NASOPHARYNGEAL FIBROMA (JUVENILE NASOPHARYNGEAL ANGIOFIBROMA) INVESTIGATIONS :- 1. Computed tomography (CT) scan of the head with contrast enhancement is now the investigation of choice. It has replaced conventional radiographs. It shows the extent of tumour, bony destruction or displacements. Anterior bowing of the posterior wall of maxillary sinus, often called antral sign or Holman-Miller sign, is pathognomic of angiofibroma. 2. Magnetic resonance imaging (MRI) is complementary to CT scans and shows any soft tissue extensions present intracranially in the infratemporal fossa or in the orbit. 3. Carotid angiography shows the extent of tumours, its vascularity and feeding vessels which mostly come from the external carotid system. In very large tumours or those with intracranial extension vessels may also come from internal carotid system. Embolization of vessels can be done at this time to decrease bleeding at operation. Feeders from only the external carotid system can be embolized. Resection of tumour should not be delayed beyond 24-48 h of embolization to avoid vascularization from the contralateral side. Ref:- Dhingra; pg num:-247,248